PQLI is measured by all except?
1. Infant mortality
2. Life expectancy at age 1
3. Literacy
4. Per capita income

Correct answer: 4. Per capita income

Explanation: Ans. is 'd' i.e., Per capita income Physical quality of life index consolidates three indicators :- Literacy rate Infant mortality rate Life expectancy at age I year (LEI